'Socialized medicine' concept was first given by
1. India
2. Russia
3. Germany
4. China

Correct answer: 2. Russia

Explanation: Socialized medicine - Free medical care by govt. regulated by professional groups or bodies. Concept given by Russia State medicine -free medical care by govt. Finger printing first given by - India Blindness control first started by - India Compulsory sickness insurance given by- Germany